Anhedonia is?
1. Absence of pain on previously painful site
2. Loss of emotions
3. Somatic symptoms of pain
4. Inability to experience pleasure

Correct answer: 4. Inability to experience pleasure

Explanation: Ans. is 'd' i.e. Inability to experience pleasure * Anhedonia is the inability to experience pleasure from activities usually found enjoyable, e.g. exercise, hobbies, singing, sexual activities or social interactions.* Anhedonia is a core symptom of Major Depressive Disorder, therefore individuals experiencing this symptom can be diagnosed with depression, even in the absence of low/depressed mood.* Anhedonia can also be associated with, attention deficit hyperactivity disorder, schizoaffective disorder, borderline personality disorder, schizoid personality disorder, dysthymia and schizophrenia.Note - Absence of pain on previously painful site is known as anodynia.